Hairy cell leukemia is
1. B cell tumor
2. T cell tumor
3. NK cell tumor
4. All of above

Correct answer: 1. B cell tumor

Explanation: Ans. (a) B cell tumorRef: Harrison 19th ed. / 706* Hairy cell leukemia is a B cell tumor disease that presents in older males.* Usual presentation involves pancytopenia with splenomegaly.* The malignant cells appear to have "hairy'projections on light and electron microscopy and show a characteristic staining pattern with tartrate-resistant acid phosphatase.* Bone marrow is typically not able to be aspirated, and biopsy shows a pattern of fibrosis.* Patients with this disorder are prone to unusual infections, including infection by Mycobacterium avium intracellulare, and to vasculitic syndromes.* Hairy cell leukemia is responsive to chemotherapy with interferon , pentostatin, or cladribine, with the latter being the usually preferred treatment.